A 21 year old female presented with mucopurulent discharge from eyes and foreign body sensation diagnosed of having inclusion conjunctivitis. It is caused by:
1. Chlamydia trachomatis
2. Chlamydia psittaci
3. Herpes
4. Gonorrhoea

Correct answer: 1. Chlamydia trachomatis

Explanation: Inclusion conjunctivitis is caused by Chlamydia trachomatis serovars D-K. The primary source of infection is urethritis in males and cervicitis in females. The transmission of infection may occur to eyes either through contaminated fingers or more commonly through water of swimming pools (hence the name swimming pool conjunctivitis). Ref: Comprehensive Ophthalmology by AK Khurana, 4th edition, Page 68.